Lt border of the heart in CXR is formed by – a) Pulmonary arteryb) Pulmonary  veinc) Abdominal aortad) Arch of aortae) Rt ventricles
1. b
2. c
3. ad
4. ab

Correct answer: 3. ad

Explanation: The left margin of heart is formed by aortic knuckle (prominence due to aortic arch), pulmonary trunk, left auricle, and left ventricle.